Antivitamin of biotin-
1. Vitamin B6
2. Vitamin K
3. Avidin
4. None

Correct answer: 3. Avidin

Explanation: Ans. (c) AvidinKD Tripathi 6th Ed. / 876BIOTIN* Biotin is a sulfur containing organic acid found in egg yolk, liver, nuts and many other articles of food.* It is well absorbed from intestine and excreted mainly unchanged in urine.* Avidin, a heat labile protein in egg white, binds and prevents the absorption of biotin.